Commonest cause of obstructive hydrocephalus in children
1. Acqueductal stenosis
2. Aquaductal gliosis
3. Subarachnoid hemorrhage
4. Tubercular meningitis

Correct answer: 1. Acqueductal stenosis

Explanation: Aqueducts stenosis is most common cause of obstructive hydrocephalus in children. Reference: GHAI Essential pediatrics, 8th edition